In recommending treatment for your carcinoid patient, you will consider all of the following except
1. Cyproheptadine
2. Ketanserin
3. Methysergide
4. Sumatriptan

Correct answer: 4. Sumatriptan

Explanation: All of the drugs listed have significant blocking effects on 5HT receptors except sumatriptan, which is an agonist at 5HT1 receptors.